Gutter fracture is due to :
1. A sharp weapon
2. Fire arm injury
3. Blunt weapon
4. Serrated edge

Correct answer: 2. Fire arm injury

Explanation: B i.e. Firearm injury